Brachial plexus injury with Horner's syndrome, nerve root level involved is :
1. C5
2. C6
3. C7
4. T1

Correct answer: 4. T1

Explanation: - Horner syndrome is due to involvement of white matter of spinal cord at T1 level." Klumpke's palsy: Occurs in lower trunk of brachial plexus (C8-T1) Claw hand is present due to the paralysis of intrinsic muscles of hand It is associated with Horner's syndrome Has poor prognosis